Hassall's corpuscles are found in:
1. Liver
2. Spleen
3. Kidney
4. Thymus

Correct answer: 4. Thymus

Explanation: Ans. (d) ThymusRef: Gray's 41st ed. / 619* CORPUSCLE means any small body.* Hassall's corpuscles are spherical or ovoid bodies found in the medulla of the thymus, composed of concentric arrays of epithelial cells which contain keratohyalin and bundles of cytoplasmic filaments.Also KnowSome other known corpuscles* Lamellated corpuscle a type of large encapsulated nerve ending found throughout the body, concerned with perception of sensations.* Malpighian corpuscles : Found in Nephrons (kidney) and in spleen (white pulp)* Meissner's corpuscle: A type of mediumsized I encapsulated nerve ending in the skin, chiefly in the palms and soles.* Paciniform corpuscles a type of rapidly adapting lamellated corpuscles responding to muscle stretch and light pressure.* Red corpuscle: Red Blood Cells* White corpuscle: White Blood Cells